Which of the following enzyme deficiency is the most common cause of Andrenogential syndrome?
1. 3 b hydroxylase deficiency
2. 17 a hydroxylase deficiency
3. 21 a hydroxylase deficiency
4. Steroid sulfatase deficiency

Correct answer: 3. 21 a hydroxylase deficiency

Explanation: 21 a hydroxylase deficiency is the most common cause of androgenital syndrome and its clinical manifestations depends upon the extent of enzyme deficiency. In less severe cases there is only masculinization due to increased androgen production (17 ketosteroids and testosterone). In severe cases, due to mineralocorticoid deficiency they can also present with salt wasting if untreated leading to life threatening volume depletion and shock. 11 beta hydroxylase deficiency is marked by salt retention (increase in 11 DOC) leading to hypertension, masculinization and an increase in 11 deoxycortisol. 17 alpha hydroxylase deficiency is marked by increased production of mineralocorticoids and decreased production of 17 ketosteroids and 17 hydroxycorticoids. Ref: Rapid Review Biochemistry By John W. Pelley, page 91-2